Which one of the following is not a feature of renal artery stenosis?
1. Hypertension responds well to drugs
2. Kidneys may be asymmetrical
3. Atherosclerotic plaques are common
4. Serum creatinine may increase with ACE inhibitors

Correct answer: 1. Hypertension responds well to drugs

Explanation: In renal artery stenosis - Hypertension is difficult to control with drugs. Patients often respond to Revascularization procedures like percutaneous renala artery angioplasty . There may be decline in GFR during therapy with ACE -inhibitors or ARB'S. Renal artery stenosis can be unilateral or bilateral, so kidneys may be asymmetrical . Atherosclerosis is the common cause of renal artery stenosis in elderly. Ref:Harrison 20 th edition pg no 1906